Which of the following is least seen in uterine fibroid?
1. Hyaline degeneration
2. Sarcomatous change
3. Red degeneration
4. Fatty degeneration

Correct answer: 2. Sarcomatous change

Explanation: Ans. b. Sarcomatous change (Ref: Shaw's 14/326- 327, 13/e p341, 349-350)The risk of sarcoma developing in a fibroid uterus is approximately 0.5% (Least common secondary change).Secondary Changes in FibroidHyaline degeneration:MC change, more common in central portionQCystic degeneration (after menopause)Fatty degeneration (after menopause)Calcareous degeneration (after menopause)AtrophyQ (after menopause)Red degenerationQ (2nd half of pregnancy)Sarcomatous change:Least common changeQIncidence 0.5% of all fibroidsMore common in intramural and submucous fibroids